Torus aorticus is an impression in the cavity of
1. Right atrium
2. Right ventricle
3. Left ventricle
4. Left atrium

Correct answer: 1. Right atrium

Explanation: Torus aorticus (aortic mound) is the prominent region of the right atrial septum, which marks the projection of the non-coronary aortic sinus into the right atrial wall. The bulge is superior to the coronary sinus and anterior to the fossa ovalis.